Rollover phenomenon in audiometry is seen in
1. Cochlear lesions
2. Retro-cochlear lesions
3. Lesion in inferior colliculus
4. Lesion in medial geniculate body

Correct answer: 2. Retro-cochlear lesions

Explanation: Roll over phenomenon:- it is seen in retro cochlear hearing loss . With increase in intensity above particular level phonetically balanced score (PB score) falls rather than maintain a plateau as in cochlear type of sensineural hearing loss .